Which among the following is essential for wound healing:
1. Vitamin A
2. Vitamin D
3. Vitamin C
4. Carbohydrate

Correct answer: 3. Vitamin C

Explanation: Deficiency of vitamin C causes reduced cross-linking of tropocollagen to collagen.